"Squalene" is the intermediate Product during synthesis of:
1. VLDL
2. Cholesterol
3. Tachysterol
4. Lanosterol

Correct answer: 2. Cholesterol

Explanation: Cholesterol